Which of the following tumor is radiosensitive?
1. Melanoma
2. Pancreatic Ca
3. Osteosarcoma
4. Ewings sarcoma

Correct answer: 4. Ewings sarcoma

Explanation: RADIOSENSITIVE TUMORS : WILM'S TUMOR EWING'S SARCOMA LYMPHOMA SEMINOMA MULTIPLE MYELOMA MEDULLOBLASTOMA PINEALOBLASTOMA RADIORESISTANT TUMOR : MELANOMA OSTEOSARCOMA PANCREATIC CARCINOMA